Which of the following pathogenic mechanism is involved in the generation of sarcoidosis:
1. Intra-alveolar and interstitial accumulation of CD4+ T cells
2. Increased levels of T cell-derived TH1 cytokines such as IL-2 and IFN-g
3. Increased levels of cytokines in the local environment IL-8, TNF
4. All of the above

Correct answer: 4. All of the above

Explanation: Pathogenesis of sarcoidosis: Unidentified antigen - CD4+ helper T cells - Non-necrotizing epithelioid granuloma Intra-alveolar and interstitial accumulation of CD4+ helper T-cells. Increase in Th1 cytokines such as IL-2 and IFN-g, resulting in T cell proliferation and macrophage activation, respectively Increase in several cytokines in the local environment (IL-8, TNF, macrophage inflammatory protein-1a) that favor recruitment of additional T cells and monocytes and contribute to the formation of granulomas. Significant elevation of angiotensin-converting enzyme (ACE) in serum (derived from activated macrophages. Impaired dendritic cell function.